The word german measles is applied for
1. Rubella
2. Rubeola
3. herpes simplex
4. herpetic gingivostomatitis

Correct answer: 1. Rubella